Single dose treatment for gonorrhea ?
1. Azithromycin
2. Tetracyline
3. Ceftriaxone
4. Erythromycin

Correct answer: 3. Ceftriaxone

Explanation: Ans. is 'c' i.e., Ceftriaxone For uncomplicated gonococcal infection, single dose of IM ceftriaxone is the drug of choice. It is given along with azithromycin (single dose) or doxycyline (BD for 7 days) to cover chlamydial infection